Which of the following hormones is used in the adjuvant treatment of depression?
1. Progesterone
2. Cortisol
3. ACTH
4. Levothyroxine

Correct answer: 4. Levothyroxine

Explanation: The connection between thyroid function and mood disorders has been known for more than a century since nineteenth-century physicians noticed that hypothyroidism was accompanied by depression. b. All the hormones of the hypothalamic- pituitary-thyroid axis have been used in the treatment of depression, alone or in combination with other agents, although the most commonly used are liothyronine and levothyroxine. REF: Katzung 12th ed